The citric acid cycle is the final pathway for oxidation of
1. Enzymes
2. Vitamins
3. Minerals
4. None of the above

Correct answer: 4. None of the above